An elderly male with heart disease presents with sudden loss of vision in one eye; examination reveals cherry red spot; diagnosis is:
1. Central retinal vein occlusion
2. Central retinal artery occlusion
3. Amaurosis fugax
4. Acute ischemic optic neuritis

Correct answer: 2. Central retinal artery occlusion

Explanation: B i.e. Central Retinal Artery Occlusion Central retinal artery occlusion characteristically presents with sudden painless loss of vision, cherry red spot & cattle-truck appearanceQ (of retinal veins usually). Source of emboli from carotid artery & heart disease, and thrombus from arteriosclerosis along with hypertension & arteritis are predisposing factors.